Dinitrophenol causes
1. Inhibition of ATP synthase
2. Inhibition of electron transport
3. Uncoupling of oxidation and phosphorylation
4. Accumulation of ATP

Correct answer: 3. Uncoupling of oxidation and phosphorylation

Explanation: Mechanism of Action of DNP as uncoupler Dinitrophenol (DNP) a potent uncoupler is ampipathic and increase the permeability of the lipoid inner mitochondrial membrane to protons (H+), thus reducing the electrochemical potential and sho-circuiting the ATP synthase. In this way, oxidation can proceed without phosphorylation. Note: DNP was used for weight loss. But it was discontinued due to hyperthermia and other side effects.Ref: MN Chatterjea Textbook of Medical Biochemistry, 8th edition, page no: 146